Rashtriya Swasthya Bima Yojna is:
1. Low cost insurance scheme by general insurance companies
2. Industry associated insurance scheme meant for workers
3. Government health insurance scheme meant for the poor
4. Central government insurance scheme for employees

Correct answer: 3. Government health insurance scheme meant for the poor

Explanation: Ans. c. Government health insurance scheme meant for the poor (Ref: http://www.rsby.gov.in/about_rsby aspx)Rashtriya Swasthya Bima Yojana is Government health insurance scheme meant for the poor."Rashtriya Swasthya Bima Yojana provide health insurance coverage for Below Poverty Line (BPL) families. Objective is to provide protection to BPL households from financial liabilities arising out of health shocks that involve hospitalization."Rashtriya Swasthya Bima Yojana (RSBY) is a government- run health insurance scheme for the Indian poor. It provides for cashless insurance for hospitalization in public as well as private hospitals."Rashtriya Swasthya Bima Yojana provide health insurance coverage for Below Poverty Line (BPL) families. Objective is to provide protection to BPL households from financial liabilities arising out of health shocks that involve hospitalization. "Rashtriya Swasthya Bima YojanaAlso known as National Health Insurance Scheme (NHIS)Rashtriya Swasthya Bima Yojana or RSBY started rolling from 1st April 2008.Government sponsored scheme for the BPL population of IndiaQRs. 600 (75%) by Central governmentQRs. 200 (25%) by State governmentQGovernment of India contribution is 90% in case of North-eastern states & Jammu and KashmirLaunched by Ministry of Labour and Employment, Government of India.Provide health insurance coverage for Below Poverty Line (BPL) familiesQ.Objective:To provide protection to BPL households from financial liabilities arising out of health shocks that involves hospitalizationQ.Beneficiaries:Beneficiaries under RSBY are entitled to hospitalization coverage up to Rs. 30,000 per family per year for hospitalization in public and private hospitalsCover in case of death of a family member: Rs. 25,000/-QPre-existing conditions are covered from day one and there is no age limit.Coverage extends to five members of the family, which includes the head of household, spouse and up to three dependentsQ.Beneficiaries need to pay only Rs. 30/- as registration fee while Central and State Government pays the premium to the insurer selected by the State Government on the basis of a competitive bidding.